Pathognomonic sign of Acute Iridocyclitis is –
1. Aqueous flare
2. Keratic precipitates
3. Small pupil
4. All of the above

Correct answer: 2. Keratic precipitates

Explanation: Keratic precipitates (KPs) on posterior surface of cornea are pathognomonic of the involvement of ciliary body in the inflammation.
Earliest sign of anterior uveitis → aqueous flare.
Pathognomonic sign → Keratic precipitate